Which of the following statements about Acute Immune Thrombocytopenic Purpura is not true:
1. Autoimmune Mediated
2. Massive Splenomegaly
3. Increased Megakaryocytes in marrow
4. IV immunoglobulins may be required

Correct answer: 2. Massive Splenomegaly

Explanation: Answer is B (Massive splenomegaly) Immune Thrombocytopenic Purpura is not associated with massive splenomegaly `Hepatomegaly, splenomegaly and lymphadenopathy are notably absent in ITP, and their presence should initiate an investigation for other possible underlying illnesses associated with thrombocytopenia'- Oski's Essential Pediatrics 2"d/463 Acute ITP is considered a self limiting condition 'Immune Thrombocytopenic purpura is a self limiting condition and most children will have normal platelet count within 8-12 weeks even without treatment' - 'Pediatrics: A concise Text' by Kabro & Srivastava r /164 `Acute ITP in children frequently has a benign course with an excellent prognosis. More than 50% of untreated children with ITP recover within 4 weeks without treatment and more than 80% recover 6 months' Intravenous immunoglobulins may be required for treatment of ITP Common Treatment Modalities for ITP (Platelet count <20,000/111 or significant mucosal bleeding) Corticosteroids IV Immunoglobulins /gamma globulins Additional Immunosupressive agents (Rituximab /Anti CD 20 Antibody) Splenectomy Intravenous Immunoglohulin is a useful modality Jim- treatment of ITP'